Stages of death was given by
1. Ronald Ross
2. Kurt - Schneider
3. Kubler Ross
4. Sigmond Freud

Correct answer: 3. Kubler Ross